Main role of Basal ganglia ?
1. Temperature regulation
2. Planning & programming of movement
3. Gross motor activity
4. Equilibrium

Correct answer: 2. Planning & programming of movement

Explanation: Ans. is 'b' i.e., Planning & programming of movement The basal ganglia are involved in planning and programming of movement or more broadly, in the process by which on abstract thought is converted into a voluntary action. Like, lateral cerebellum, neurons in the basal ganglia discharge before the movements begin. They influence the motor cortex the thalamus, and corticospinal tract is the final common pathway to motor neuron. Putamen circuit is involved in complex pattern motor activity and skilled movement. Basal ganglia is part of extrapyramidal system and therefore is involved in regulation of tone and posture. The basal ganglia, particularly the caudate nuclei, also play a role in some cognitive proces So, caudate nucleus plays a major role in cognitive control of motor activity.